'Tennis elbow', is characterized by -
1. Tenderness over the medial epicondyle
2. Tendinitis of common extensor origin
3. Tendinitis of common flexor origin
4. Painful flexion and extension

Correct answer: 2. Tendinitis of common extensor origin

Explanation: Tennis elbow is also known as lateral epicondylitis . It is a condition characterised by pain and tenderness at the lateral epicondyle of the humerus due to non specific inflammation at the origin of the extensor muscles of forearm. Although it is sometimes seen in tennis players, other activities such as squeezing clothes, carrying suitcase etc. are frequently responsible Reference-Essential orthopaedics- Maheshwari-5th edn-pg no 302